Gracey curette No. 11-12 are used for
1. Anterior teeth
2. Posterior teeth mesial
3. Posterior teeth distal
4. Posterior teeth facial and lingual

Correct answer: 2. Posterior teeth mesial